Which of the following nerve does not have root valve C5, C6,C7
1. Lateral pectoral nerve
2. Musculocutaneous nerve
3. Lateral root of median nerve
4. Ulnar nerve

Correct answer: 4. Ulnar nerve

Explanation: Ulnar nerve does not have root valve C5, C6,C7 .